Aviator fracture is -
1. Fracture neck of talus
2. Fracture scaphoid
3. Fracture calcaneum
4. Fracture 5 metatarsal

Correct answer: 1. Fracture neck of talus